Most common cause of death in Electrocution is:
1. Respiratory muscle paralysis
2. Ventricular fibrillation
3. Asphyxia
4. Regurgitation of fluids

Correct answer: 2. Ventricular fibrillation

Explanation: (Ventricular fibrillation) (4.178, 4.182-P)ELECTROCUTION - Condemned person is strapped wooden chair, one cap like electrode is placed over his shaved scalp, moistened with a conducting paste, and the other on one leg. An alternating current of 7.5 amperes at a pressure of about 2.000 volts, is passed through the body for about a minute and repeated once again for a similar period to ensure that life is extinct. The brain is heated to 63degC and vaculation around the blood vessels has been noted.Cause of death - Death is due to electrothermal injuries from high voltage direct current or involvement of the CNS with paralysis of cardiac or respiratory centre.* Sudden death occurs due to ventricular fibrillation.